A 35-year-old female is under general anesthesia. Prior to laryngeal intubation the rima glottidis is opened by which pair of muscles?
1. Posterior cricoarytenoids
2. Lateral cricoarytenoids
3. Thyroarytenoids
4. Transverse arytenoids

Correct answer: 1. Posterior cricoarytenoids

Explanation: The posterior cricoarytenoid muscles lie on the superoposterior aspect of the lamina of the cricoid cartilage. When these muscles contract, they cause lateral rotation (abduction) of the vocal processes of the arytenoid cartilages, thereby opening the space between the vocal folds, the rima glottidis. The lateral cricoarytenoid is involved with adducting the arytenoid cartilage and closing the rima glottidis. The thyroarytenoid muscles lie alongside either vocal ligament and are also involved in adducting the vocal folds. The transverse arytenoid muscle connects both arytenoid cartilages and also aids in closing the rima glottidis. Finally, the cricothyroid muscle is located on the anterior aspect of the cricoid cartilage and aids in elongation and tensing of the vocal folds.